All of the following are contents of gastric juice in a normal individual in fasting stage, EXCEPT:
1. HPO42-
2. SO42-
3. Mg2+
4. Ca2+

Correct answer: 4. Ca2+

Explanation: Contents of Normal Gastric Juice (Fasting State): Cations: Na+, K+, Mg2+, H+ (pH approximately 3.0) Anions: Cl-, HPO42-, SO42- Pepsins Lipase Mucus Intrinsic factor Ref: Barrett K.E., Barman S.M., Boitano S., Brooks H.L. (2012). Chapter 25. Overview of Gastrointestinal Function & Regulation. In K.E. Barrett, S.M. Barman, S. Boitano, H.L. Brooks (Eds), Ganong's Review of Medical Physiology, 24e.